Most common sustained tachycardia in healthy young women is?
1. AVNRT
2. AVRT
3. Atrial fibrillation
4. Pre-excitation syndrome

Correct answer: 1. AVNRT

Explanation: Most common sustained tachycardia in healthy young women is: AVNRT/PSVT Option B: AVRT (Atrioventricular Reentrant Tachycardia) seen with pre excitation syndrome like WPW syndrome where there is abnormal conduction pathway in the heart.